Most common major salivary gland malignancy is:
1. Mucoepidermoid carcinoma
2. Pleomorphic adenoma
3. Adenoid cystic carcinoma
4. Adenocarcinoma

Correct answer: 1. Mucoepidermoid carcinoma

Explanation: Mucoepidermoid carcinoma,
Pg 2497 ScottBrown Otorhinolaryngology Vol2